In the neonate, an intramuscular injection is given on
1. Deltoid
2. Gluteal region
3. Thigh
4. Abdomen

Correct answer: 3. Thigh

Explanation: Anterolateral aspect of the thigh This is preferred site up to 12 months of age(Refer: Nelson's Textbook of Pediatrics, SAE, 1st edition, pg no. 1258)